A child presented with Intermittent episodes of left sided flank pain. Ultrasonography reveals large hydronephrosis with dilated renal pelvis and cortical thinning with a normal ureter. Kidney differential function was observed to be 19% which of the following is the best management
1. Nephrectomy
2. Pyeloplasty
3. External drainage
4. Endopylostomy

Correct answer: 2. Pyeloplasty

Explanation: Pyeloplasty is performed to treat an uretero-pelvic junction obstruction if residual renal function is adequate There are different types of pyeloplasty depending on the surgical technique and patterns of incision used. These include the Y-V, Inverted 'U', and Dismembered types of pyeloplasty. The dismembered type of pyeloplasty (called an Anderson-Hynes pyeloplasty) is the most common type of pyeloplasty. This was described in relation to retrocaval ureter (now renamed as preureteric vena cava). Another technique of pyeloplasty is Culp's pyeloplasty, in this method a flap is rotated from dilated pelvis to decrease narrowing of ureter. A pyeloplasty can either be done by the robotic, open, or laparoscopic route. Reference: GHAI Essential pediatrics, 8th edition